Bracket Calcification is seen is
1. Sturge Weber syndrome
2. CMV
3. Paragonimus cyst
4. Corpus Callosal lipoma

Correct answer: 4. Corpus Callosal lipoma

Explanation: Bracket calcification reflect calcification seen at the periphery of the midline Lipoma.